Systemic lupus erythromatosus with anti-SSA/SSAb positivity is associated with ________
1. Poor prognosis
2. Increased risk of nephritis and vasculitis
3. Congenital heart block
4. All of the above

Correct answer: 3. Congenital heart block

Explanation: The correct association is congenital heart block. Systemic lupus erythematosus (SLE) with anti-SSA/SSB (Ro/La) is associated with: Good prognosis Less risk of developing nephritis and vasculitis Congenital heart block in neonatal lupus Subacute cutaneous lupus. Ref: Nelson textbbook of pediatrics 21st edition Pgno: 1279